P. falciparum does not present with -
1. Hyperglycaemia
2. Hypoglycaemia
3. Hypotension
4. Fever

Correct answer: 1. Hyperglycaemia